Treatment of digitalis toxicity includes:
1. Stoppage of drug
2. Potassium supplements
3. FAB fragments of digitalis antibodies
4. All of the above

Correct answer: 4. All of the above